Kennedy class II condition derives its
1. Primary support from the tissue underlying the base and secondary support from the abutment teeth.
2. Primary support from the abutment teeth.
3. Primary support from the tissue underlying the base.
4. Primary support from the abutment teeth and secondary support from the tissue underlying the base.

Correct answer: 1. Primary support from the tissue underlying the base and secondary support from the abutment teeth.